Which of the following has the lowest risk of causing nausea & vomiting?
1. Semaglutide
2. Lixisenatide
3. Albiglutide
4. Liraglutide

Correct answer: 3. Albiglutide

Explanation: Nausea & vomiting is the most common side effect of all GLP-1 analogues, but Albiglutide has the lowest risk of causing nausea & vomiting.